Which of the following is an Ionic dimer?
1. Diatrizoate
2. Metrizoate
3. Ioxaglate
4. Iothalamate

Correct answer: 3. Ioxaglate

Explanation: Example of Ionic Monomers - UROGRAFFIN, GASTROGRAFFIN, Diatrizoate, lothalamate Example of Ionic Dimers- -Ioxaglate Example of Non-Ionic Monomer - Iohexol, Ioleron, Iopamidol, Ipromide, Ioversol, Xenetix Example of Non-Ionic Dimer - Iodixanol, Iotrolan